All of the following sections are related to "Dowry death" except
1. 113(A) Indian evidence act
2. 113(B) Indian evidence act
3. 304(A) IPC
4. 174(3) criminal procedure code

Correct answer: 3. 304(A) IPC

Explanation: 304A. Causing death by negligence Sections related to dowry death IEA 113A. Presumption as to abetment of suicide by a married woman. IEA 113B. Presumption as to dowry death. CrPC Section 174(3)(iii) the case relates to the death of a woman within seven years of her marriage and any relative of the woman has made a request in this behalf 304B. Dowry death Ref: Krishnan vij Textbook of Forensic Medicine and Toxicology; 5th ed; Page no: 169,206